Which Vitamin deficiency results in poor wound healing?
1. K
2. C
3. D
4. E

Correct answer: 2. C

Explanation: Answer- B. CVitamin C is important to the synthesis of collagen and the growth of new blood vessels to replace damaged tissue. This element also has a strong antioxidizing effect that enhances the immune system and, in effect, protects against wound infection.